Glottic chink, in cadaveric positions of vocal cords is
1. 3 mm
2. 3.5 mm
3. 7 mm
4. 19 mm

Correct answer: 3. 7 mm

Explanation: Glottic chink It is the distance between the vocal cords. In cadaveric position--the vocal cords are 3.5 mm away from midline, so the distance between them i.e glottic chink is 7 mm. Similary in full abduction it is about 19 mm. Ref:- Mohan Bansal; pg num:- 374